Child with growth retardation came with Tripod skull and clinodactyly?
1. Silver russel syndrome
2. Beckwith wideman syndrome
3. Angelman syndrome
4. Prader willi syndrome

Correct answer: 1. Silver russel syndrome

Explanation: Ans. (a) Silver russel syndromeRussell Silver Syndrome which included short stature, relative macrocephaly, triangular facies and bilateral clinodactyly.